Eustachian tube passes between
1. Superior and middle constrictors
2. Above superior constrictor
3. Middle and inferior constrictor
4. Below inferior constrictor

Correct answer: 2. Above superior constrictor

Explanation: The auditory tube passes between the large gap between the upper concave border of the superior constrictor and the base of the skull is semilunar and is known as the sinus of Morgagni. It is closed by the upper strong part of the pharyngobasilar fascia. Ref: BD Chaurasia's HUMAN ANATOMY, Volume 3, 4th edition.